Death caused by medical negligence is under which IPC
1. 351 IPC
2. 312 IPC
3. 304A IPC
4. None

Correct answer: 3. 304A IPC

Explanation: Death of medical negligence is dealt within 304- A IPC.
It states that whoever causes the death of any person by doing any rash or negligent act not amounting to culpable homicide, shall be punished with imprisonment of either description for a term which may extend to two years, or with fine, or with both.